Which drug/s is/ are used to control hypertension intra operatively?
1. Nitroglycerine
2. Nitroprusside
3. Beta blockers
4. All the above

Correct answer: 4. All the above

Explanation: Ans. is 'd' i.e., All the above [Rel Hypertension primer by joseph L. lzzo, p. 555JIntraoperative hypertensionMeasures commonly used to control intraoperative hypertension include deepening of anesthesia, use of vasodilators such as nitroglycerine or nitroprusside, or a combination of the two.